Commonest histological finding in benign hypertension is
1. proliferating endarteritis
2. Necrotising arteriolitis
3. Hyaline arteriosclerosis
4. Cystic medial necrosis

Correct answer: 3. Hyaline arteriosclerosis

Explanation: Hyaline arteriolosclerosis is associated with benign hypertension. It is marked by homogeneous, pink hyaline thickening of the arteriolar walls, with loss of underlying structural detail, and luminal narrowing . The lesions stem from leakage of plasma components across injured endothelial cells, into vessel walls and increased ECM production by smooth muscle cells in response to chronic hemodynamic stress. (Robbins basic pathology,9th edition.pg no.334)